Triple arthrodesis involves:
1. Calcaneocuboid, talonavicular and talocalcaneal
2. Tibiotalar, calcaneocuboid and talonavicular
3. Ankle joint, calcaneocuboid and talonavicular
4. None of the above

Correct answer: 1. Calcaneocuboid, talonavicular and talocalcaneal

Explanation: Triple Arthrodesis: Fusion of three joints Talonavicular - most difficult to fuse Talocalcaneal Calcaneocuboid Indicated only if there is a strong contraindication to arthroplasty (eg, previous infection) or to salvage a failed arthroplasty Indication: >10 yrs of age for treatment of CTEV